Node of Ranvier means
1. Gap between two Schwann cells
2. Indentation Schwann cell due to synapsing of adjacent unipolar neuron
3. Gaps between dendrites and Schwann cells
4. Gaps between Schwann cell and axon

Correct answer: 1. Gap between two Schwann cells

Explanation: - Nodes of Ranvier or Myelin sheath gaps, are the gaps (approximately 1 micrometer in length) formed between the myelin sheaths generated by different cells. O A myelin sheath is a many-layered coating, largely composed of a fatty substance called myelin,that wraps around the axon of a neuron and very efficiently insulates it. O At nodes of Ranvier, the axonal membrane is uninsulated and therefore capable of generating electrical activity. O Since fat serves as a good insulator, the myelin sheaths speed the rate of transmission of an electrical impulse along the axon. O Electrical impulse jumps from one node to the next at a rate as fast as 120 meters/ second. O This rapid rate of conduction is called salutatory conduction. O Myelinated axons are rare in the autonomic nervous system. Inveebrates do not have myelinated sheaths.